All except one is true regarding bladder changes during pregnancy
1. Bladder pressure in primigravida increase from 8cm H2O early in pregnancy to 20cm H2O at term
2. Absolute and Functional urethral lengths are increased
3. Bladder capacity is increased
4. Intra urethral pressure is increased from 70 to 93cm H2O

Correct answer: 3. Bladder capacity is increased

Explanation: Absolute and functional urethral length is increased as a compensatory mechanism for reduced bladder capacity.